Slit smear negative leprosy is-a)  Neuritic typeb)  Tuberculoid typec)  Indeterminate typed)  Leprometous type
1. ab
2. abc
3. acd
4. bcd

Correct answer: 2. abc